Retinoblastoma can result from a mutation in:
1. Ras proto-oncogene
2. ErbB proto-oncogene
3. p 53 gene
4. RB 1 gene

Correct answer: 4. RB 1 gene

Explanation: Ans. D. RB 1 geneRetinoblastoma is a cancer common in children below 15 years of age. Itis caused by abnormalities of a gene called RB1, which is located on a region of the long (q) arm of chromosome 13 designated 13q14. Although most retinoblastomas are caused by mutations within the RB1 gene, a small percentage of retinoblastomas result from a deletion of the 13q14 region.